White pupillary reflex is seen in:
1. Retrolental fibroplasia
2. Complete retinal detachment
3. Retinoblastoma
4. All of the above

Correct answer: 4. All of the above

Explanation: Ans. D: All of the above Leukocoria is an abnormal white reflection from the retina of the eye. Leukocoria is a medical sign for a number of conditions: Coats disease Congenital cataracts Corneal scarring Melanoma of the ciliary body Norrie disease Ocular toxocariasis Persistence of the tunica vasculosa lentis (PFV/PHPV) Retinoblastoma Retrolental fibroplasia.